Not a symptom of angle closure glaucoma -
1. Blurring of vision
2. Coloured Halos
3. Metamorphosia
4. Headache

Correct answer: 3. Metamorphosia

Explanation: Metamorphosia herein,patients perceive distorted images of the object . This results due to alteration in the ratinal contour caused by a raised patch of choroiditis. Ref :Ophthalmology A K Khurana 6th edition chapter-10 page no :162